Slow waves are maximum in
1. Stomach
2. Ileum
3. Colon
4. Rectum

Correct answer: 2. Ileum

Explanation: Among the given options, slow waves are maximum in the ileum. The rate of slow waves in ileum is 8/min. Slow waves or Basic Electric rhythm(BER) refers to the spontaneous rhythmic fluctuation in membrane potential of the GI smooth muscles (betwee -65mV and -45mV). These are initiated by the interstitial cells of Cajal. Other options The rate of slow waves in the stomach is 4/min and in the colon, it varies between 2 to 6/min. Rate of Basal electric rrhythm in various regions Segment Rate of BER Stomach 4/min Duodenum 12/min Distal ileum 8/min Cecum 2/min Sigmoid 6/min Ref: Ganong's Review of Medical physiology 26th edition Pgno: 486